Best method of treatment of Methyl alcohol -
1. Calcium gluconate
2. Ethyl alcohol
3. Amphetamines
4. 1% Ammonia

Correct answer: 2. Ethyl alcohol

Explanation: Among the given options only ethyl alcohol is used.